Which of the follow ing is an example of heterophile antibody test-
1. Widal test
2. Weil-Felix reaction
3. Rose-wraler test
4. Blood grouping & cross matching

Correct answer: 2. Weil-Felix reaction

Explanation: Ans. is 'b' i.e., Weil-Felix reaction Ref: Ananthanarayan 9th/ep. 109 &- 8th/e p. 108; Immunology Lachmann 4th/ ep. 1534. 1535]Heterophilic agglutination reactiono Some organisms of different class or species share closely related antigens.o When serum containing agglutinin (antibody) of one organism gives agglutination reaction with antigen of other organism, it is called heterophilic agglutination test.Examples areo Streptococcus M.G agglutination test for primary atypical pneumonia,o Weil - Felix reaction for typhus fever.o Paul Bunnell test for IMN.